Restriction endonuclease function is true about -
1. Cut both the strands of dsDNA
2. The cut ends produced are sticky
3. The cut ends produced are blunt
4. All of these

Correct answer: 4. All of these

Explanation: Restriction endonuclease cuts both strands of DNA.
Cut ends may be blunt (in linear cut) or sticky (in staggered cut).